Common causes of infertility are:a) Chlamydiab) Gonorroheac) Mycoplasmad) Pneumococcus
1. ab
2. bc
3. acd
4. abc

Correct answer: 4. abc

Explanation: PID resulting in salpingitis is an important cause of infertility.
Infertility from PID can occur due to following organisms:
a. Chlamydia 
b. Gonorrhea 
c. Tuberculosis 
d. Mycoplasma (Specifically ureoplasma) 
Certain Infections cause Intrauterine synechiae or asherman syndrome thus leading to infertility like:
e. Schistosoma